26 year old man died while playing. His autopsy of the heart revealed myocyte hypertrophy. Diagnosis is aEUR'
1. HOCM
2. DCM
3. Arrhythmogenic cardiac problem
4. Restrictive cardiomyopathy

Correct answer: 1. HOCM

Explanation: HOCM Sudden death associated with sports or vigorous exertion along with the presence of hypertrophied septum suggests the diagnosis of HOCM. Remember HOCM does not give specific symptoms. This disorder has variable presentation. Most patients are asymptomatic, and unfortunately the .first clinical manifestation of the disease in such individuals may be death. M.C. manifestation of H.O.C.M. in symptomatic patients Dyspnea The essential feature of HOCM is massive myocardial hypertrophyQ without ventricular dilatation. - The important feature of hypertrophy is that it is asymmetricalQ, the ventricular septum is characteristically involved but ventricular wall is spared.